Shock is a circulatory disturbance characterized by:
1. Increased blood
2. Elevated body temperature
3. Increased atmospheric pressure
4. Decreased volume of circulating blood

Correct answer: 4. Decreased volume of circulating blood